Which of the following is the r,ichest source of Vitamin C?
1. Orange
2. Guava
3. Cabbage
4. Amila

Correct answer: 4. Amila

Explanation: Orange contains 30mg ,guava-212mg,cabbage-124mg and amla contains 600mg/100g.REF.PARK'S TEXTBOOK OF PREVENTIVE AND SOCIAL MEDICINE.Editon-21.Page no.-573.